Under the ESI act, maternity benefit is allowed for how many days in case of a miscarriage:
1. 2 weeks
2. 4 weeks
3. 6 weeks
4. 8 weeks

Correct answer: 3. 6 weeks

Explanation: Under the ESI act, an insured woman is entitled to maternity benefit for 12 weeks in case of confinement, 6 weeks for miscarriage, 30 days for sickness arising out of confinement. Ref: Park 21st edition, page 758. Chapter: Occupational health.